all of the following are features of thyrotoxicosis, except -
1. Diastolic murmur
2. tremors
3. Irregularly, irregular pulse
4. osteoporosis

Correct answer: 1. Diastolic murmur

Explanation: Ref - Davidsons 23e p637